All are True about Acute Osteomyelitis except
1. Common in children
2. Severe pain
3. Involves Epiphyseal plate
4. Treatment involves 6 weeks of Antibiotics

Correct answer: 3. Involves Epiphyseal plate